Argon laser is used in all except:
1. Retinal detachment
2. Retinitis pigmentosa
3. Retinal vein occlusion
4. Eales' disease

Correct answer: 2. Retinitis pigmentosa

Explanation: Ans. Retinitis pigmentosa